Commonest congenital deformity is
1. Congenital club hand
2. Congenital club foot
3. Absence of femur
4. Absence of fibula

Correct answer: 2. Congenital club foot

Explanation: B. (Congenital club foot) (613 - 614 - CDT-4th)Metatarsus adductus (metatarsus varus) is the most common foot deformity in the newborn infant (occurring 5 in 1000 live birth). The hallmark of metatarsus adductus is medial deviation of the forefoot.* Congenital club foot incidence 1 in 1000 live birth* Congenitl hand diffence occursin 1 in 1500 live birth* Commonest cause of shaft femur under 2 years age is child abuse (700- Apley 8th)* Screening test used in newborn with club foot -- Inability to ** dorsiflex and evert the dorsum of foot so as to touch the shin*** Ganglions are the most common soft tissue tumours of the hand and wrist**Pectoralis major muscle most commonly affected by congenitally absence (599 - Apley 8th)